Temporalis muscle originates from:
1. Side of the skull
2. Zygomatic process
3. Ramus of the mandible
4. Pterygopalatine fossa

Correct answer: 1. Side of the skull